A mother brought her child who has got a vascular plaque like lesion over the lateral aspect of forehead mainly involving ophthalmic and maxillary division of trigeminal nerve. Mother says that the lesion has remained unchanged since birth. Also mother gives a history that the child is on valproate for seizure disorder. What is the MOST probable diagnosis ?
1. Tuberous sclerosis
2. Sturge weber syndrome
3. Infantile hemangioma
4. Incontinentia pigmenti

Correct answer: 2. Sturge weber syndrome

Explanation: The child in the question is having a capillary hemangioma on the face and is suffering from seizures. Both of these are characteristically seen in Sturge weber syndrome. Clinical features: Unilateral, cutaneous capillary angioma involving the upper face, leptomeningeal angiomatosis and choroidal angioma Focal or generalized seizures Contralateral homonymous hemianopia Hemiparesis and hemisensory disturbance Ipsilateral glaucoma Mental subnormality X ray of skull shows: "Tramline" intracranial calcification, especially in the parieto-occipital region. Ref: Aminoff M.J., Kerchner G.A. (2013). Chapter 24. Nervous System Disorders. In M.A. Papadakis, S.J. McPhee, M.W. Rabow, T.G. Berger (Eds), CURRENT Medical Diagnosis & Treatment 2014.